In which of the following organism does the capsule does not act as a virulence factor?
1. H. influenzae
2. Strep pneumoniae
3. N. meningitidis
4. Bordetella pertusis

Correct answer: 4. Bordetella pertusis

Explanation: Ans. (d) Bordetella pertussis Antigenic constituents and Virulence factor of Bordetella Pertussis toxin (most important) Tracheal cytotoxin Dermonecrotic toxin Lipo oligosoccharide Adenylate cyclase toxin Fimbriae Filamentous hemagglutinin (a component of cell wall) Pertactin (an outer membrane protein)